A 23 years old male presents with ingrown nail. The ingrown nail was removed after administering a ring block. The mechanism of action of the local anesthetic used is
1. Opening of sodium channels
2. Blockage of activated sodium channels
3. Increased frequency of GABA activated chloride channels
4. Increased duration of GABA activated chloride channels

Correct answer: 2. Blockage of activated sodium channels

Explanation: Answer: b) Blockage of activated sodium channelsLOCAL ANESTHETICSInterfere with the excitation process in a nerve membrane in one or more of the following ways:Altering the basic resting potential of the nerve membraneAltering the threshold potential (firing level)Decreasing the rate of depolarizationProlonging the rate of repolarizationLA's are weak bases carrying a positive charge at the tertiary amine group at physiological pH.MOA: Blocks voltage gated Na+ channels from inside of cell membrane by binding to a-subunit.Nerve block produced by local anesthetics is called a nondepolarizing nerve block.LA's are weak bases; they act by penetrating the axonal membrane in the unionized form.After penetration, they get ionized and block the activated sodium channels from within, thereby preventing the propagation of action potentials.